All of the following organisms are known to survive intracellularly except:
1. Neisseria meningitides
2. Salmonella typhi
3. Streptococcus pyogenes
4. Legionella pneumophila

Correct answer: 3. Streptococcus pyogenes